Ova albumin antigen was injected into a rabbit. What antibody will it produce initially?
1. IgG
2. IgM
3. IgE
4. IgD

Correct answer: 2. IgM

Explanation: Ans. (b) IgM Ref. jawetz 25/e, p 130, 27/e p 98 IgM is the first antibody to be produced, after exposure to both antigen or allergin "IgM is the first antibody formed in every response" ...Medical Microbiology by BS Napoba Thogh ovaalbumin is an allergin, its initial injection would produce IgM first, then IgE. If it is injected again IgE production would be first response.